Increased Heel Pad Thickness is associated with?
1. Rickets
2. Pagets disease
3. Acromegaly
4. Fibrous Dysplasia

Correct answer: 3. Acromegaly

Explanation: Feature of Acromegaly 1. Spade like Phalanges 2. Increased Heel Pad Thickness . 3. Hyperpneumatization of para-nasal sinuses